Stuart's medium is a transport media for
1. Streptococcus
2. Neisseria
3. Vibrio
4. Shigella

Correct answer: 2. Neisseria

Explanation: Stuart's and Amies medium are transport media for Neisseria.